The MOST sensitive 24 hour urinary biochemical test to suggest pheochromocytoma among the following is
1. Vanillylmandelic acid
2. Fractionated metanephrines
3. Total metanephrines
4. Catecholamines

Correct answer: 2. Fractionated metanephrines

Explanation: Table 343-2 Biochemical Tests Used for Pheochromocytoma Diagnosis Diagnostic Method Sensitivity Specificity 24-h urinary tests Vanillylmandelic acid ++ ++++ Catecholamines +++ +++ Fractionated metanephrines ++++ ++ Total metanephrines +++ ++++ Ref: Harrisons Principles of Internal Medicine, 18th Edition, Page 2963